Hair on end appearance is seen in-
1. Dermoid cyst
2. Thalassemia
3. Kwashiorkar
4. Tinea capitis

Correct answer: 2. Thalassemia

Explanation: Ans. is 'b' i.e., Thallasemia o Marked vertical striations in a patient with thalassemia give the appearance of hair standing on end so called hair on end sign usually seen in Thalassemia majorKwashiorkoro Triad ofPsychomotor changeEdema (PEG)Growth retardantHair changes - Changes include dyspigmentation, loss of characteristic curls and sparseness over taple.Flag sign - Alternate band of hypopigmented and normally pigmented hair pattern.